In a child, non-functioning kidney is best diagnosed by-
1. Ultrasonography
2. VU
3. DTPA renogram
4. Creatinine clearance

Correct answer: 3. DTPA renogram

Explanation: DTPA/MAG3 Renogram. This procedure allows the physician to monitor the function of the kidneys and the degree of any blockage in the flow of urine out of the kidneys. You will lie down on the imaging couch and a Gamma Camera will be placed over your abdominal area Ref Harrison20th edition pg 297